Soft tick belongs to which of the following class?
1. Insecta
2. Crustacea
3. Arachnida
4. Cestoda

Correct answer: 3. Arachnida

Explanation: The features of Arachnida which includes ticks, mites, scorpions and spiders etc are four pairs of legs, absence of wings and antennae. Their bodies are divided into cephalothorax and abdomen. Ref: Park's Textbook of Preventive Medicine, 20th Edition, Page 672.